The most common causative organism for lobar pneumonia Is
1. Staphylococcus aureus
2. Streptococcus pyogenes
3. Streptococcus pneumoniae
4. Haemophilus influenzae

Correct answer: 3. Streptococcus pneumoniae